The odds ratio is designated as -
1. ab/cd
2. ac/bd
3. bd/ac
4. ad/bc

Correct answer: 4. ad/bc

Explanation: Ans. is 'd' i.e., ad/bc Odds - ratio (cross product ratio)o From a case-control study odds ratio can be derived which a measure of the strength of association between risk factor and outcome.o The odds ratio is closely related to relative risk (which is analyzed in a cohort study) - odds ratio represents only an estimate of relative risk.o The odds ratio is the cross product of entries in above tableOdds ratio =adbeo The odds ratio is a key parameter in the analysis of case-control studies.